Collapse of lung is called -
1. Emphysema
2. Bronchiactasis
3. Atelectasis
4. Bronchitis

Correct answer: 3. Atelectasis

Explanation: Ans. is 'c' i.e., Atelectasis Atelectasis (collapse)o Atelectasis refers to:- Incomplete expansion of lungs -Neonatal atelectasis.orCollapse of previously inflated lung - Acquired atelectasis,o This results in areas of relatively airless pulmonary parenchyma,o Acquired atelectasis may be divided intoResorption (obstruction) atelectasiso it is consequence of complete obstruction of an airway.o With time trapped oxygen in the affected alveoli is resorbed and collapse occurs.o Resorption atelectasis is caused principally by obstruction due to excessive secretions (mucus plug) or exudates within small bronchioles as seen in Bronchial asthma, chronic bronchitis, Bronchiactasis and foreign body aspirationCompression atelectasiso Collapse of lung occurs due to external perssure on lung.o It is seen most commonly in patients with cardiac failure wdio develop pleural effusion and in patients with neoplastic pleural effusion.Contraction atelectasiso The collapse is due to contracture in the lung because of fibroctic changes,o Except for contraction atelectasis, atelectasis is a reversible disorder, i.e. collapsed lung parenchyma can be re- expanded.